A large dose of EDTA is used in carbonic anhydrase enzyme inactivation. The mechanism by which EDTA acts is -
1. It chelates with the metal ion of the enzyme
2. It combines with the substrate and doesn't react with the enzyme
3. Combines with the substrate and reacts with the enzyme
4. Enzyme-EDTA complex can not be attached to substrate

Correct answer: 1. It chelates with the metal ion of the enzyme

Explanation: Ans. is 'a' i.e., It chelates with ions of the enzyme EDTA is a chelating agent. It acts by causing chelation.Chelation is a chemical reaction that results in bond being formed between a metal ion and an organic (Le., carbon based) molecule.The resulting complex metal bound to molecule is called a "chelate" and contains one or more rings of atoms in which the metal ion is so firmly bound it cannot escape: The complex is stable nontoxic and is easily excreted.EDTA is a chelating agent. It is used to inactivate carbonic anhydrase enzyme.It does so by binding with the metal (zinc) ion of the enzyme carbonic anhydrase.